Simplest cone form of teeth with a single root is seen in:
1. Bunodont.
2. Haplodont.
3. Homodont.
4. Monophyodont.

Correct answer: 2. Haplodont.